Total fertility rate -a) Total no. of children born to a woman in a given yearb) Measure of completed family sizec) Sum of fertility of all aged) No. of female child born to mothere) Total no. of child born to mother
1. a
2. c
3. bc
4. ad

Correct answer: 3. bc